Most important investigation for posterior urethralvalve is
1. Urethroscopy
2. IVP
3. Retrograde cystogram
4. Micturating cystogram (MCU)

Correct answer: 4. Micturating cystogram (MCU)

Explanation: D i.e. MCU